Triple deformity of knee joint seen in :
1. Tuberculosis
2. Trauma
3. Malignant tumor
4. Sarcoidosis

Correct answer: 1. Tuberculosis

Explanation: Ans. is 'a' i.e. Tuberculosis In early stages of TB knee, there is mild flexion deformity of the knee because of effusion in the knee and the muscle spasm. Later triple displacement occurs due to ligament laxity .This includesFlexionPost subluxation of tibiaExternal rotation of tibia.